Chostek s and Trousseau's Signs is seen in which poisoning?
1. Oxalic acid
2. Strichynine
3. Hydrocyanic acid
4. Arsenic

Correct answer: 1. Oxalic acid

Explanation: ANSWER: (A) Oxalic acidREF: Parikh 6th edition page 8.33Chvostek's and Trousseau s Signs is seen in hypocalcemia.Oxalic acid combines with serum calcium to form insoluble calcium oxalate to cause hypocalcemia